The fungi which do not have sexual phase belong to which of the following groups -
1. Phycomycetes
2. Fungi Imperfecti
3. Basidiomycetes
4. Ascomycetes

Correct answer: 2. Fungi Imperfecti

Explanation: CLASSIFICATION OF FUNGI

The classification of fungi is based primarily on the method of sexual reproduction.


Although, morphology and the method of asexual reproduction are also important.
In sexual reproduction, fungal strains mate, undergo nuclear fusion and meiosis and three is the exchange of genetic material.


Based on their sexual spore formation fungi have been classified into four classes.


Phycomycetes (Zygomycetes)
Ascomycetes
Basidiomycetes
Deuteromycetes